How to differentiate between bony neoplasm and cyst, Radiographically:
1. By their sizes.
2. By their shapes.
3. By peripheral bone formation.
4. By their location.

Correct answer: 3. By peripheral bone formation.